Which of the following tests is gold standard to diagnose a case of PHN?
1. HAMS test
2. Sucrose lysine test
3. Flow cytometry
4. Bone marrow

Correct answer: 3. Flow cytometry

Explanation: Ref. Robbins Pathology. 9th edition. Page. 642

Diagnostic methods


HAM test – no more used
Gel card test
Flow cytometry – IOC
Best – FLAER (Fluorescent Aerolysin test)